What is a placental cotyledon:
1. All branches from one stem villi
2. Area supplied by one spiral artery
3. Quarter of placenta
4. Area drained by one terminal villi

Correct answer: 1. All branches from one stem villi

Explanation: Functional unit of the placenta is called a fetal cotyledon or placentome,which is derived from a major primary stem villus. These stem villi pass down through the intervillous space to anchor onto the basal plate.About 60 stem villi persist in human placenta. Thus each cotyledon(totalling 15-29) contains 3-4 major stem villi. Reference : Dutta Textbook of Obstetrics &th edition page no 31